Which is the complication of blood transfusion -
1. Hyponatremia
2. Hyperkalemia
3. Hypercalcemia
4. Increased serum albumin

Correct answer: 2. Hyperkalemia

Explanation: Ans. is 'b' i.e., Hyperkalemia Major complicated of Transfusion | ||CoagulopathyMetabolic | || GeneralElectrolyte o Fluid overloado Hypothermiao Impaired oxygen capicity of hemoglobin (i 43 DPG)o Hyperkalemiao Hypocalcemiao Hypomagnesemiao Alkalosis/Aciduria